DOC for LGV
1. Doxycycline
2. Ampicillin
3. Erythromycin
4. Ceftriaxone

Correct answer: 1. Doxycycline

Explanation: A i.e. Doxycycline